A patient on anti psychotics is found to be restless, irresistible urge to move, can't sit or stand in one position. Diagnosis:
1. Acute dystonia
2. Akathisia
3. Tardive dystinesia
4. Rabbit syndrome

Correct answer: 2. Akathisia

Explanation: Akathisia is the most common side effect seen after administration of Anti psychotics, treated by B.blockers.